All are features of psychosis except
1. Loss of insight
2. Preserved contact with reality
3. Presence of delusions
4. Personality disturbances

Correct answer: 2. Preserved contact with reality